Tyndallization is a type of -
1. Intermittent sterilization
2. Pasteurisation
3. Boiling
4. Autoclaving

Correct answer: 1. Intermittent sterilization